The sharp cusp like eminence found on the lingual surface in the cingulum region of permanent maxillary canine is known as:
1. Mammeleon.
2. Perikymata.
3. Tubercle.
4. Lobes.

Correct answer: 3. Tubercle.